Which of the following is a modality of treatment of phlyctenular conjunctivitis ?
1. Systemic steroids
2. Topical steroids
3. Antibiotics
4. Miotics

Correct answer: 2. Topical steroids

Explanation: Treatment of phlyctenular keratoconjuctivitis is: Topical steroids are drugs of choice Topical antibiotics and atropine are used when cornea is involved Phlyctenular conjunctivitis is a delayed type IV hypersensitivity response to endogenous: staphylococcus proteins (most common), tuberculous proteins, moraxella and worm infestation It is usually unilateral, more common in girls Itching is the most common symptom Phlycten or nodule is seen near the limbus. Miliary, ring, fascicular, sacrofulous ulcers are also seen. Remember spring catarrh is type I hypersensitivity to exogenous proteins like pollens and it is more common in boys.